Trachoma in a newborn cannot produce follicular reaction because:
1. Antibodies are transfered from mother
2. Adenoid layer is devoid of lymphoid tissue
3. Immunity is not developed
4. Incubation period is one year

Correct answer: 2. Adenoid layer is devoid of lymphoid tissue

Explanation: Ans. Adenoid layer is devoid of lymphoid tissue